Barrier methods are all EXCEPT:
1. Diaphragm
2. Foam tablets
3. Vaginal-sponge
4. Lippes loop

Correct answer: 4. Lippes loop

Explanation: (Lippes loop): Ref: (424-25-Park 20th)Barrier Methods(a) Physical Methods(b) Chemical methods1. CondomeFemale condome2. Diaphragm3. Vaginal sponge (Today)4. Foams' foamtablets, foam aerosols5. Creams, jelles and pastes - squeezed from a tube6. Suppositories - inserted manually7. Soluble films - C - film inserted manually(c) Combined methods Lippes loops: - Intrauterine device